Dry wine is:
1. Methylated spirit
2. Methyl alcohol
3. Isopropyle alcohol
4. Chloral hydrate

Correct answer: 4. Chloral hydrate

Explanation: D i.e. Chloral Hydrate